Which of the following statement regarding the blood supply of different parts esophagus is NOT TRUE?
1. Inferior thyroid artery supplies the cervical part
2. Bronchial arteries and descending thoracic aorta supplies the thoracic part
3. Right gastric artery and right inferior phrenic artery supplies the abdominal part
4. None of the above

Correct answer: 3. Right gastric artery and right inferior phrenic artery supplies the abdominal part

Explanation: Abdominal part of esophagus is supplied by the left gastric artery and left inferior phrenic arteryInferior thyroid artery supplies the cervical part Bronchial arteries and descending thoracic aorta supplies the thoracic part Venous drainage of the esophagus:The cervical part drains into the inferior thyroid veins.The thoracic part drains into the azygos and hemiazygos veins.Abdominal part is drained by left gastric vein a tributary of portal vein. The veins of the lower thoracic part are systemic therefore there is a potential portosystemic anastomosis between the two sets of veins at the lower end of esophagus in the submucosa.Ref: Clinical Anatomy: (a Problem Solving Approach) By Kulkarni page 288.